Which of the following is the most common congenital viral infection?
1. Rubella
2. Cytomegalovirus
3. Herpes simplex
4. HIV

Correct answer: 2. Cytomegalovirus

Explanation: *Human CMV is widely distributed. *CMV is the most common cause of congenital infection,which occasionally causes the syndrome of cytomegalic inclusion disease in neonates. Reference: Nelson textbook of pediatrics 21st edition Page 1115